Post-traumatic cataract:
1. Christmas tree
2. Rossette cataract
3. Sunflower cataract
4. Shield cataract

Correct answer: 2. Rossette cataract

Explanation: Ref: Multiple Sources. Kanski and Basak's Essentials in OphthalmologyExplanation:Type of cataractRemarksAfter cataract* Elschnig's pearls* Sommerring's ringAnterior polar cataract* Alport syndromeComplicated cataract* Polychromatic luster* Bread crumb appearanceCupulliform cataract* Senile posterior corticai cataractHeat cataract: Glass blowers cataract* Infrared raysOil drop cataract* GalactosemiaPosterior polar cataract Punctate cataract (Blue dot cataract)* Lowe's syndrome* Most common congenital cataractRadiation cataract* Posteror subcapsular cataractSnow flake cataract* Diabetes mellitusPosterior subcapsular cataract* Stercid induced cataractSunflower cataract* Chalcosis (Excess copper accumulation in lens)Traumatic cataract* Vossius rmc* Rosette cataractZonular (lamellar) cataract* Riders are seen* Hypocalcemia